Melanocytic marker is?
1. CD99
2. HMB-45
3. NMP-22
4. CA-125

Correct answer: 2. HMB-45

Explanation: Ans. is 'b' i.e., HMB-45 Markers for melanocytes1) S-100 - 90% of tumors are positive2) HMB-45 - More specific but less sensitive than S-1003) TA-904) Tyrosinase5) Microphthalmia transcription factor 6) Melan-A